Elective cholecystectomy is:
1. Clean
2. Dirty
3. Clean & contaminated
4. Contaminated

Correct answer: 3. Clean & contaminated

Explanation: Ans. C i.e. Clean & contaminated